Vortex vein invasion is commonly seen in
1. Retinoblastoma
2. malignant Melanoma
3. Optic nerve glioma
4. Medula epithelioma

Correct answer: 2. malignant Melanoma

Explanation: Vortex vein invasion is common in malignant Melanoma where does optic nerve invation is common in retinoblastoma Refer khurana 6/e p 420